Delusion is not present in
1. Delirium
2. Mania
3. Depression
4. Compulsive disorder

Correct answer: 4. Compulsive disorder

Explanation: D i.e. Compulsive disorder